Pes anserinus includes following three muscles EXCEPT
1. Semitendinosus
2. Semimembranosus
3. Gracilis
4. Sartorius

Correct answer: 2. Semimembranosus

Explanation: Tendons of one muscle from each of the three compartments of the thigh: sartorius (anterior), gracilis (medial), and semitendinosus (posterior) are inserted into the upper part of the medial surface of the tibia. Anserine bursa is at their tibial attachment separating each other near their insertion and also from the tibial collateral ligament. fig:-attachment of muscles at tibia